Maximum radiation exposure is by
1. Radiography
2. CT abdomen
3. Radionuclide scan
4. X-ray Abdomen

Correct answer: 2. CT abdomen

Explanation: Examination Effective total dose (mSv) Chest radiograph 0.06 Skull radiograph 0.2 Pelvis radiograph 0.65 Lumbar spine radiograph 1.3 Upper GI series (Barium) 2.45 Abdomen radiograph 0.55 Barium enema 2.8 to 4 IVP/IVU 1.6 Extremities 0.01 Enteroclysis 1.5 CT chest 8 CT abdomen 10 CT head 3.5 RNI 4.8